A group of 4-8 qualified people discussing a topic in front of people is called:
1. Group discussion
2. Panel discussion
3. Symposium
4. Lecture

Correct answer: 2. Panel discussion

Explanation: Ans: b (Panel discussion) Ref: Park, 19th ed, p. 717, 718These tire methods in health communication. Methods of health communication can be:Individual approach:1) Personal contact2) Home visits3) Personal lettersMass approach:1. Television, radio, newspaper2. Printed material, direct mailing3. Posters, folk methods, internet4. Health museum and exhibitionsGroup approach:1. Lectures2. Demonstrations3. Discussion methods- Group discussion- Panel discussion- Symposium- Workshop- Conferences- Seminars- Role playGroup discussion- A "group" is an aggregation of people interacting in face to face.It permits individuals to learn by freely exchanging their knowledge and ideas and opinions.Panel discussion- In this 4-8 persons who are qualified to talk about the topic sit and discuss a given problem, in front of a large group and audience .The panel consists of a chairman or moderator and 4-8 speakers. After the main aspects of the subjects are explored by the panel speakers, the audience is invited to take part.Symposium- Is a series of speeches on a selected subject. There is no discussion among symposium members as in panel discussion. The chairman makes a comprehensive summary at the end of entire discussion.Workshop- is the name given to a novel experiment in education. It consists of a series of meetings with emphasis on individual work within the group, with the help of consultants and resource personnel.Role play or socio-drama- Group members take parts in socio drama enact their roles as they have observed or experienced them.Conferences and seminars- contain large component of commercialized continuing education; usually held on a regional, state, national level.